Turner syndrome is maximally associated with:
1. Horseshoe kidney
2. Coarctation of aorta
3. VSD
4. ASD

Correct answer: 2. Coarctation of aorta

Explanation: Ans. is 'b' i.e. Coarctation of aorta Turner 9s syndrome is commonly associated with congenital heart diseasesThe most common anomaly associated is bicuspid Aortic yalyes in one third to one half of the patients (50%)Other congenital anomalies associated with Turner's syndromeAortic coarctation (30%)Aortic stenosisMitral valve prolapseAnomalous pulmonary venous drainage